Drugs to be avoided in G6PD deficiency is ?
1. Dapsone
2. Metformin
3. Pregabalin
4. Rituximab

Correct answer: 1. Dapsone

Explanation: Ans. is 'a' i.e., Dapsone Drugs causing hemolytic Anaemia in C-6-PD Aminosalicylic acid Antimalarials - Primaquine, Quinine Analgesics - Aspirin, Acetanilid Chloramphenicol Cotrimoxazole Dapsone deficiency Nalidixic acid o Nitrofurantoin Phenacetin Probenecid Procainamide Quinidine Sulfonamides (Sulfamethoxazole) Vitamin C Vitamin K (water soluble form) Methylene blue Niridazole - Phenazopyridine Doxorubicin